A 20-year old average weight female complains of oligomenorrhea along with facial hair. Preliminary investigations reveal raised free testosterone levels. USG Pelvis: ovary shows normal morphology. Which of the following could be likely etiology
1. Idiopathic hirsutism
2. PCOD
3. Adrenal hyperplasia
4. Testosterone secreting tumor

Correct answer: 2. PCOD

Explanation: Ans. b. PCOD